Factors important in the formation of gall stones include all of the following except
1. Cholesterol saturation in bile
2. Gall bladder motility
3. The size of micelles
4. Obesity

Correct answer: 3. The size of micelles

Explanation: risk factors of gall stone A) advancing age B)female sex hormone C) obesity D)acquierd disorders such as gallblader stasis E)hereditory factor F)metabolic abnormality such as DM, hyperlipidemia and PBC GENERAL AND SYSTEMIC PATHOLOGY RAMDAS NAYAK PGNO.475